Thyroid hormones belong to which class of hormone?
1. Steroids
2. Proteins
3. Polypeptides
4. Amino acid derivatives

Correct answer: 4. Amino acid derivatives

Explanation: Thyroid hormones are synthesized from the amino acid "TYROSINE" by iodination. Ref: guyton and hall textbook of medical physiology 12 edition page number:564,565,566